A third degree circumferential burn in the arm & forearm region, which of the following is most important for monitoring?
1. Blood gases
2. Carboxy-oxygen level
3. Macroglobinuria cryoglobinuria
4. Peripheral pulse and circulation

Correct answer: 4. Peripheral pulse and circulation

Explanation: When deep second and third degree burn wounds encompass the circumference of an extremity, peripheral circulation to the limb can be compromised. Development of generalized edema beneath a non - yielding eschar impedes venous outflow and affects arterial inflow to the distal beds. This can be recognized by numbness and tingling in the limb and increased pain in digits. Arterial flow can be assessed by determination of Doppler signals in the digital arteries and the palmar and planter arches in affected extremities. Capillary refill can also be assessed.